Effect of Vmax and Km in competitive inhibition is as follows
1. Km unchanged
2. Vmax increased, Km unchanged
3. Km increased, V max unchanged
4. Km and Vmax increased

Correct answer: 3. Km increased, V max unchanged

Explanation: In competitive inhibition, Drug binds to enzyme only .So, Velocity remains unchanged and Conc- km increases. In non- competitive inhibition, drug binds to enzyme substrate complex deceasing velocity unaffecting km. Ref: K.D.Tripati.7th ed. Pg 39